The most common manifestation of moderate/severe hemophilia A is-
1. Recurrent hemarthrosis
2. Recurrent muscle bleeding
3. Recurrent bleeding from gums
4. Recurrent Hematuria

Correct answer: 1. Recurrent hemarthrosis

Explanation: Ans. is 'a' i.e., Recurrent Hemarthrosis Sites of bleeding in hemophilia||||Intracranial (3-4%)Hemarthrosis (80%)Epistaxis oral gastrointestinal bleedingGenitourinarytracto Revatively rate, compared to other sites of bleedingo M.C site of bleeding in ambulatory patientso Joint bleeding characteristic of severe diseaseo Nose oral mucosa gingiva.o Hematuria commonly seen in severe hemophilia